During exercise increase in O2 delivery to muscles is because of all except
1. Oxygen dissociation curve shifts to left
2. Increased stroke volume
3. Increased extraction of oxygen from the blood
4. Increased blood flow to muscles

Correct answer: 1. Oxygen dissociation curve shifts to left